One of the following is not true of Ponderal index -
1. It is measure of obesity
2. Is height & weight independent
3. Is height & weight dependent
4. Age independent

Correct answer: 2. Is height & weight independent

Explanation: Ponderal index= height / cube root of body weight. Ref- Park's textbook of Preventive and Social Medicine 24th edition.